Embryonic phase of development is from -
1. 1-3 weeks
2. 4th to 8th week
3. 0-4thweek
4. 6th to 9th week

Correct answer: 2. 4th to 8th week

Explanation: Ans. is 'b' i.e., 4th to 8th week * The development of a new individual in the uterus involves three phasesi) Pre-embro phase or germinal phase (day 0-3 weeks).ii) Embro phase or embryonic period (weeks 4-8).iii) Fetal phase (weeks 8-38).